Best contraceptive for newly married healthy couple-
1. Barrier method
2. IUCD
3. Oral contraceptive pill
4. Natural methods

Correct answer: 3. Oral contraceptive pill

Explanation: For newly married couples oral contraceptive pill is the method of choice.
It has many noncontraceptive benefits along with effective contraception.